DMF index does not show?
1. Number of decay tooth
2. Number of restoration
3. Severity of decay
4. Missing tooth due to decay

Correct answer: 3. Severity of decay